Deflouridating material is:
1. Duraphat
2. Fluorprotector
3. Brudevold's solution
4. alumina

Correct answer: 4. alumina